Which of the following hormone acts through tyrosine kinase receptor pathway-
1. Growth hormone
2. ANP
3. Insulin
4. ACTH

Correct answer: 3. Insulin

Explanation: Ans. is 'c' i.e., Insulin Hormone acting on enzyme linked receptors (Group II D hormone)* Tyrosin kinase receptorsInsulin, epidermal growth factor, fibroblast growth factor, PDGF.* JAK-STAT-Kinase binding receptorsGrowth hormone, Prolactin.